At the end of week 2 of development (day 14), what is the composition of the embryonic disk?
1. Epiblast only
2. Epiblast and hypoblast
3. Ectoderm and endoderm
4. Ectoderm, mesoderm, and endoderm

Correct answer: 2. Epiblast and hypoblast

Explanation: The embryoblast consists of the two distinct cell layers (epiblast and hypoblast) at the end of development week 2 (day 14) and forms the bilaminar embryonic disk. Second week is called week of 2 - 2 cavities- amniotic cavity and yolk sac cavity 2 type of embryoblast - Epiblast and hypoblast 2 type of trophoblast - Cytotrophoblast and Syncytial trophoblast Gastrulation - formation of 3 germ layers in week 3